Which of the following has maximum ionisation potential?
1. Electron
2. Helium ion
3. Proton
4. Gamma photon

Correct answer: 2. Helium ion

Explanation: Helium ion (alpha rays) has maximum ionisation potential Gamma rays have maximum penetration power.